Breast milk should be discontinued for how long prior to surgery
1. 8 hours
2. 6 hours
3. 4 hours
4. 2 hours

Correct answer: 3. 4 hours

Explanation: Breast milk should not be consumed within 4 hours prior to surgery.